Ovicidal drug for scabies is –
1. BHC
2. DDT
3. HHC
4. Permethrin

Correct answer: 4. Permethrin